Weight of placenta at term:
1. 300 grams
2. 400 grams
3. 500 grams
4. 600 grams

Correct answer: 3. 500 grams

Explanation: Ans. C i.e. 500 grams